Bacterial species seen in skin ?
1. Lactobacillus
2. Streptococcus pneumonia
3. Bacterioides fragilis
4. Propionobacterium

Correct answer: 4. Propionobacterium

Explanation: Ans. is 'd' i.e., Propionobacterium